When a 'spontaneous perforation' of the oesophagus occurs as a result of severe barotrauma while a person vomit against a closed glottis, what is the condition known as
1. Maltory - weiss syndrome
2. Plummer vinsion syndrome
3. Kartergener Syndrome
4. Boerhaave syndrome

Correct answer: 4. Boerhaave syndrome

Explanation: The pressure in the oesophagus increases rapidly and the oesophagus burst at its weakest point in the lower third sending a stream of material into the mediastinum and often the pleural cavity as well. Bailey and Love's short practice of surgery,26 th ed.pg:992